Ovaries develop from which of the following?
1. Genital ridge
2. Mullerian duct
3. Endoderm of urogenital sinus
4. Genital tubercle

Correct answer: 1. Genital ridge

Explanation: Ans. A. Genital ridge.The ovary is developed from the cortex of the undifferentiated genital ridges by about 9th week the primary germ cells reaching the site migrating from the dorsal end of yolk sac.